Cerebellar cortex contains
1. Pyramidal cells
2. Purkinje cells
3. Stromal cells
4. Kupffer cells

Correct answer: 2. Purkinje cells

Explanation: Purkinje cells are large flask-shaped neurons seen in the intermediate layer of cerebellar cortex. There are five types of neurons in cerebellar cortex which are Purkinje cells, Granule cells, Stellate cells, Basket cells, Golgi cells. All the intrinsic neurons in the cerebellar cortex are inhibitory except granule cells. (Ref: Vishram Singh textbook of clinical neuroanatomy, second edition, pg- 114)